Mauriac's syndrome is characterized by the following except -
1. Diabetes
2. Obesity
3. Dwarfism
4. Cardiomegaly

Correct answer: 4. Cardiomegaly

Explanation: Ans. is 'd' i.e., Cardiomegaly Mauriac syndrome is a rare complication in children and adolescents with diabetes mellitus type 1, characterized by hepatomegaly, growth impairment, and cushingoid features. It can occur as a result of abnormal blood sugar levels and the symptoms tend to rectify with attainment of euglycemia (normal blood sugar levels).